Increased nuchal translucency in 13th week fetal ultrasound characteristic of ?
1. Turner syndrome
2. Down's syndrome
3. Hydrocephalus
4. Klinefelter syndrome

Correct answer: 2. Down's syndrome

Explanation: Down's syndrome is the most common cause of increased nuchal translucency in fetal ultrasound. The other causes are Trisomy 13, Trisomy 18, Klinefelter syndrome & Turner's syndrome Ref : Dutta book of obstetrics 8th Ed